All of the following immunohistochemical markers are positive in the neoplatic cells of granulocytic sarcoma, except -
1. CD45 RO
2. CD 43
3. Myeloperoxidase
4. Lysozyme

Correct answer: 1. CD45 RO

Explanation: Diagnostic IHC markers BrdU: used to identify replicating cells. ... Cytokeratins: used for identification of carcinomas but may also be expressed in some sarcomas. CD15 and CD30 : used for Hodgkin's disease. Alpha fetoprotein: for yolk sac tumors and hepatocellular carcinoma. Refer robbins 9/e